Which of these features is a classic radiologic feature of optic nerve glioma:
1. Tram-track appearance of optic nerve
2. Kingking of optic nerve
3. Multiple cystic spaces in optic nerve
4. Adjacent bony erosion

Correct answer: 2. Kingking of optic nerve

Explanation: Ans. Kingking of optic nerve